What strength of phenol may be used for disinfection of faeces?
1. 1%
2. 2.50%
3. 5%
4. 10%

Correct answer: 4. 10%

Explanation: Usage of phenol Recommended strength Decontamination of faeces 10% Mopping of floor and cleaning of drains 5% Bacteriostatic 0.5% Ref : Park 21st edition, page 117